Anorexia nervosa is an eating disorder characterized by all EXCEPT:
1. Menorrhagia
2. Salivary gland enlargement
3. Acrocyanosis
4. Bradycardia

Correct answer: 1. Menorrhagia

Explanation: Ans. (a) MenorrhagiaHarrison 17th/471-7Amenorrhea (and not menorrhagia) is seen in 100% patients of an-orexia nervosa. It is a mandatory finding diagnostic criterion to be fulfilled for anorexia nervosa. Anorexia NervosaBulimia NervosaFeatureRefusal to maintain body weight above a minimal normalIrresistible craving for food with episodes of over eating in less time (Binge eating)Method of weight control Attempts to counter act the effects of over eating by self-induced vomiting:* Purgative abuse,* Periods of starvations* Appetite suppressantsRitualised excerciseCommonRareAmenorrhea100%50%Decreased Vital| BP, | PulseCommonUncommonHypothermiaCommonRareSkin changes (hirsutism)CommonRareMedical ComplicationsHypokalemia Cardiac arrythmiasHypokalemia Cardiac arrythmias